Darier's sign is associated with ?
1. Urticaria
2. Smooth muscle hamartoma
3. Urticaria pigmentosa
4. Atopic dermatitis

Correct answer: 3. Urticaria pigmentosa

Explanation: Options Associated with Urticaria Dermographism Smooth ms hamartoma Pseudo Darier sign Urticaria pigmentosa Darier's sign Atopic dermatitis White dermographism Darier's Sign - Mast cell release histamine - Histamine vasodilates vessels producing erythematous lesion.